Acrodermatitis enteropathica is seen with deficiency of:
1. Zinc
2. Iron
3. Copper
4. Vitamin A

Correct answer: 1. Zinc

Explanation: a. Zinc(Ref: Nelson's 20/cp 344-345, Ghai B/e p 121-122)Deficiency of zinc leads to acrodermatitis enteropathica, in which rashes shown on skin, especially around the orifices.